After giving a nerve block what is the sequence of Recovery of sensation in nerve.
1. Pain> Temperature> Touch > Proprioception>skeletal muscle tone(SMT)
2. SMT>proprioception>touch>temperature>pain
3. SMT>proprioception>temperature>touch>pain
4. It is random

Correct answer: 2. SMT>proprioception>touch>temperature>pain